Raju, a 10 year old boy is having difficulty in learning at school. He has short lapses of awareness with eyelid fluttering that occur every 5–10 minutes. EEG studies reveal brief 3 Hz spike and wave discharges appearing synchronously in all the leads. Which of the following drugs would be effective but has the disadvantage that it causes sedation and tolerance ?
1. Diazepam
2. Ethosuximide
3. Clonazepam
4. Valproic acid

Correct answer: 3. Clonazepam